"Mikulicz cells" are seen in
1. Rhinosporidiosis
2. Rhinoscleroma
3. Otomycosis
4. Ozaena

Correct answer: 2. Rhinoscleroma

Explanation: "Mikulicz cells" & "Russell bodies" are seen in Rhinoscleroma.